Which of the following is not a seronegative spondyloarthropathy -
1. Psoriatic arthritis
2. Ankylosing spondylitis
3. RA
4. Reiters arthritis

Correct answer: 3. RA

Explanation: Ans. is c i.e., RASeronegative spondyloartropathies o The seronegative spondyloarthropathies are a group of disorders that share certain clinical features and genetic associations.o The word seronegative referres to the absence of rheumatoid factor in this group of disorders.o The seronegative spondyloarthropathies include ?a) Ankylosing spondylitisb) Reactive arthritis Reiter syndrome and enteritis associated arthritisc) Psoriatic arthritisArthritis associated with inflammatory bowel disease, i.e. enteropathic arthritis.